Baclofen is used in:
1. Parkinsonism
2. Traumatic muscle spasm
3. Spasticity
4. Stroke

Correct answer: 3. Spasticity

Explanation: Ans. C: Spasticity Baclofen have been tried for symptomatic treatment of spasticity in motor neuron disease Baclofen It is an agonist for the GABAB receptors. Its beneficial effects in spasticity result from actions at spinal and supraspinal sites. Baclofen can also be used to treat hiccups A very beneficial property of baclofen is that tolerance does not seem to occur to any significant degree -- baclofen retains its therapeutic anti-spasmodic effects even after many years of continued use. Baclofen is widely used for the treatment of spastic movement disorders, especially in instances of spinal cord injury, spastic diplegia cerebral palsy, multiple sclerosis, amyotrophic lateral sclerosis (Lou Gehrig's disease), peripheral neuropathy and trigeminal and glossopharyngeal neuralgias The drug is rapidly absorbed after oral administration and is widely distributed throughout the body. Biotransformation is low and the drug is predominantly excreted in the unchanged form by the kidneys. Discontinuation of baclofen can be associated with a withdrawal syndrome which resembles benzodiazepine withdrawal and alcohol withdrawal.